Most common cause of amoebic lung abscess is :
1. Aspiration
2. Direct spread from liver
3. Hematogenous spread from liver
4. Hematogenous spread from gut

Correct answer: 2. Direct spread from liver

Explanation: Answer is B (Direct spread from liver): An amoebic lung abscess is almost always secondary to spread from the liver. Extraintestinal infection by E. histolytica most often involves the liver. Further involvement most commonly leads to Amoebic lung abscess. Infact pleuropulmonary involvement (Lung): is the most frequent complication of Amoebic liver abscess. Remember: Most common cause of a lung abscess is - 'Aspiration'. However this holds true for pyogenic (bacterial lung abscess)